Maximum global warming is by?
1. Desflurane
2. Isoflurane
3. Sevoflurane
4. Halothane

Correct answer: 1. Desflurane

Explanation: Ans. is 'a' i.e., Desflurane Desflurane is a greenhouse gas. It causes maximum global warming. Global warming potential (as an equal amount of O2) Isoflurane 210 times Sevoflurane 510 times Desflurane 1620 times